A 55 year old male patient presents with chronic liver disease has portal hypertension. To relieve the pressure in the portal system, a portocaval shunt is performed. Which of the following veins may be anastomosed to accomplish this portacaval shunt?
1. Left renal vein-left testicular vein
2. Right renal vein-right suprarenal vein
3. Splenic vein-left renal vein
4. Superior mesenteric vein-inferior mesenteric vein

Correct answer: 3. Splenic vein-left renal vein

Explanation: The splenic vein drains directly into the portal vein. The left renal vein drains directly into the inferior vena cava. Anastomosis of these veins would allow blood from the portal vein to drain retrograde through the splenic vein into the renal vein and then into the inferior vena cava.The left renal vein drains directly into the inferior vena cava. The left testicular vein drains directly into the left renal vein. Thus, these veins are already in communication and neither vein is part of the portal venous system.The right renal vein drains directly into the inferior vena cava. The right suprarenal vein also drains directly into the inferior vena cava. Thus, neither vein is part of the portal venous system.The superior mesenteric vein drains directly into the portal vein. The inferior mesenteric vein drains into the splenic vein, which then drains into the portal vein. Thus, neither vein is part of the caval venous system. Ref: Geller D.A., Goss J.A., Tsung A. (2010). Chapter 31. Liver. In F.C. Brunicardi, D.K. Andersen, T.R. Billiar, D.L. Dunn, J.G. Hunter, J.B. Matthews, R.E. Pollock (Eds), Schwartz's Principles of Surgery, 9e.